Drugs Contraindicated in pregnancy -
1. Enalapril
2. CCB
3. Beta-blockers
4. Propylthiouracil

Correct answer: 1. Enalapril

Explanation: Ans is 'a' i.e., Enalapril o Enalapril is an ACE inhibitors used as antihypertensive drugs,o ACE inhibitors are C/I in pregnancyACE inhibitor are fetopathic, These can cause fetal growth retardation hypoplasia of organs and fetal death may occur if ACE inhibitors are given during later half ofpregnancy.A recent report indicates 2.7 fold higher malformation rate in fetus exposed to ACE inhibitors in 1st trimester .ACE inhibitors must be stopped when woman conceives.Safer for antihypertensive used in pregnancy-o Methyldopa, Hydralazine, Atenolol, Metoprolol (b blockers). Nifedipine (CCB), Clonidine.o List of some common tetratogenic (fetopathic) drugs -a) Fluoroquinolesk) Astemizoleb) Tetracycline1) Cisapridec) Chloramphenicolm) Amphotericin B, Ketoconazole, Griseofulvind) Streptomycinn) Efavirenze) Kanamycino) Foscarcnet, Ganciclovirf) Tinidazolep) ACE inhibitor, AT antagonistsg) Pyrimethamine + sulfadoxineq) Redioactive iodineh) Quinnine, Primaquiner) Fluphenazinei) Albendazole, Mebendazoles) Warfarinj)DECt) Ketotifen